According to Dardick's multicellular theory which type of cells are not responsible for the origin of pleomorphic adenoma:
1. Intercalated duct reserve cell.
2. Myoepithelial cell.
3. Excretory duct cell.
4. None.

Correct answer: 3. Excretory duct cell.

Explanation: Dardick’s multicellular theory
Intercalated duct reserve cell → pleomorphic adenoma
Myoepithelial cell → pleomorphic adenoma